NSAID lacking anti-inflammatory action is:
1. Paracetamol
2. Ibuprofen
3. Diclofenac sodium
4. Celecoxib

Correct answer: 1. Paracetamol

Explanation: Paracetamol or acetaminophen has antipyretic and analgesic activities but it lacks anti-inflammatory action. It is presumed to become inactive by peroxides generated at the site of inflammation. Some theories suggest that PCM acts on COX-3 receptors.